All the following are included in the Rotterdam criteria for Polycystic ovarian syndrome (PCOS) diagnosis except
1. Hyperandrogenism
2. Amenorrhea or oligomenorrhea
3. Polycystic ovaries by USG
4. Weight of the patient

Correct answer: 4. Weight of the patient

Explanation: PCOS is a medical condition associated with hyperandrogenism, ovulatory dysfunction, and polycystic ovaries.The Rotterdam 2003 criteria required two of three of the following for PCOS diagnosis: hyperandrogenism, oligomenorrhea or amenorrhea, polycystic ovaries by ultrasound Reference: Berek and Novak's gynecology; 14th edition; Chapter 30; Amenorrhea